The condition in which the arterial PO2 is normal but the amount of hemoglobin available to carry O2 is reduced:
1. Anaemic hypoxia
2. Stagnant hypoxia
3. Histotoxic hypoxia
4. Hypoxic hypoxia

Correct answer: 1. Anaemic hypoxia

Explanation: In anemic hypoxia, in which the arterial PO2 is normal but the amount of hemoglobin available to carry O2 is reduced. Classifications of hypoxia: Hypoxemia (sometimes termed hypoxic hypoxia), in which the PO2 of the arterial blood is reduced. Anemic hypoxia, in which the arterial PO2 is normal but the amount of hemoglobin available to carry O2 is reduced. Ischemic or stagnant hypoxia, in which the blood flow to a tissue is so low that adequate O2 is not delivered to it despite a normal PO2 and hemoglobin concentration. Histotoxic hypoxia, in which the amount of O2 delivered to a tissue is adequate but, because of the action of a toxic agent, the tissue cells cannot make use of the O2 supplied to them. Ref: Barrett K.E., Barman S.M., Boitano S., Brooks H.L. (2012). Chapter 35. Gas Transport & pH. In K.E. Barrett, S.M. Barman, S. Boitano, H.L. Brooks (Eds), Ganong's Review of Medical Physiology, 24e.